What is the daily fluid requirement on day 1 for a 1 neonate who weighs 1400 gms?
1. 60 ml/kg
2. 70 ml/kg
3. 80ml/kg
4. 90ml/kg

Correct answer: 3. 80ml/kg

Explanation: Ans. C. 80ml/kgDaily fluid requirement during first week of life.Birth wtDay 1Day 2Day 3Day 4Day 5Day 6Day 7 and onwards<1500g8095110120130140150>=1500g607590105120135150